Which vitamin is most likely to be deficient in patients on treatment with isoniazid :
1. Vitamin B1
2. Vitamin B2
3. Vitamin B6
4. Vitamin B12

Correct answer: 3. Vitamin B6